Hot potato voice seen in
1. Quinsy
2. Retropharyngeal Abscess
3. Ludwig's Angina
4. Glottic carcinoma

Correct answer: 1. Quinsy